Treatment of choice in Acute myositis ossificans is:
1. Immobilization of elbow
2. Short wave diathermy
3. Passive movements of arm
4. Active exercises

Correct answer: 1. Immobilization of elbow

Explanation: A i.e. Immobilization of elbow